The causative organism of hemolytic uremic syndrome is
1. ETEC
2. Shigella
3. Salmonella
4. Pseudomonas

Correct answer: 2. Shigella

Explanation: The hemolytic uremic syndrome may occur as a complication in severe cases due to shigella. EHEC can give rise to diarrhea to fatal hemmorhagic colitis and hemmorhagic uraemic syndrome particularly in young children and the elderly. Ref: Textbook of microbiology; Ananthanarayan and paniker's; 10th Edition; pg: 293